Part of knee most commonly involved in osteoarthritis:
1. Medial compartment
2. Lateral compartment
3. Medial and lateral compartment
4. Patellofemoral compartment

Correct answer: 1. Medial compartment

Explanation: Ans. A: Medial Compartment In the knee joint medial compartment is affected more than the lateral-leading to a varus deformity (genu varum)